Number of odontoblast cells present in the pulp/mm2 is
1. 59000-76000
2. 4000-12000
3. 70000-90000
4. No odontoblast cell is present in the pulp

Correct answer: 1. 59000-76000

Explanation: More odontoblasts are present in the coronal than radicular pulp